A mother is HBsAg positive at 32 weeks of pregnancy. What should be given to the newborn to prevent neonatal infection?
1. Hepatitis B vaccine only
2. Immunoglobulin only
3. Hepatitis B vaccine + Immunoglobulin
4. Immunoglobulin followed by vaccine 1 month later

Correct answer: 3. Hepatitis B vaccine + Immunoglobulin